Record base thickness over crest & facial slope of ridge should be?
1. 1 mm
2. 2 mm
3. 3 mm
4. 4 mm

Correct answer: 1. 1 mm

Explanation: Record base thickness:
Crest & facial slope of ridge = 1 mm (Less thickness helps to provide additional space for teeth placement)
Hard palate & Lingual flange in mandibular denture base = 2 mm (Provide strength & rigidity)